Commonest site of tuberculosis of the intestines -
1. Stomach
2. Ileum
3. Jejunum
4. Colon

Correct answer: 2. Ileum